Which of the following is NOT a clinical feature of Post-Traumatic Stress Disorder (PTSD)?
1. Flashbacks
2. Hallucinations
3. Hyperarousal
4. Emotional numbing

Correct answer: 2. Hallucinations

Explanation: Hallucinations are not a feature of post traumatic stress disorder. It is a delayed and protracted response to exceptionally stressful or catastrophic life event. It is characterized by flash back (recollection of event), hyper arousal (insomnia), emotional numbing and avoidance. Ref: The Encyclopedia of Psychological Trauma By Gilbert Reyes, Page 42; Counselling for Post-Traumatic Stress Disorder By Michael J. Scott, 3rd Edition, Page 8